Values are calculated in descending order to calculate:
1. Mean
2. Median
3. Mode
4. Discrete variable

Correct answer: 2. Median

Explanation: Median is calculated only either by arranging in ascending or descending order. In other condition it is not necessary. Ref: Park 21st edition, page 646.